Atypical Pneumonia is caused by:
1. Staphylococcus
2. Streptococcus
3. Chlamydia
4. H. Influenza

Correct answer: 3. Chlamydia

Explanation: Chlamydia